Centile divides data into:
1. 100 equal parts
2. 10 equal parts
3. 4 equal parts
4. 3 equal parts

Correct answer: 1. 100 equal parts

Explanation: Centile divides a distribution into 100 equal parts. Decile - 10 equal parts Quartile - 4 equal parts Tertile - 3 equal parts Ref: Park 21st edition, page 785.